All of the following hormones use cyclic AMP as a second messenger except
1. Glucagon
2. Estrogen
3. Epinephrine
4. Luteinizing hormone

Correct answer: 2. Estrogen

Explanation: Enter the cell cytoplasm simple diffusionbind to cytoplasmic receptors.Receptors dimerize with each other and enter the nucleusIn the nucleus, zinc finger regions of receptor binds to specific DNA response elements (upstream of target gene). Ref: DM Vasudevan, 7th edition, page no: 664, 665, 666